Which group has similar kind of epithelium
1. Alveoli - Olfactory epithelium
2. Olfactory epithelium -skin
3. Oesophagus - urinary bladder
4. Lung alveoli - Bowman's capsule

Correct answer: 4. Lung alveoli - Bowman's capsule

Explanation: D i.e. Lung alveoli -Browman's capsule